Which of the following is called the Mercier's bar in bladder?
1. Mucosa between two ureteric orifices
2. Mucosa between uvula vesicae and ureteric orifice
3. Mucosa between verumontanum and ureteric orifice
4. Mucosa between internal and external urethral orifice

Correct answer: 1. Mucosa between two ureteric orifices

Explanation: The Mercier's bar (interureteric bar/ interureteric ridge) is a curved fold of mucous membrane between the two ureteric orifices inside the bladder. This fold of mucous membrane is formed by the thicknening of the superior border of the trigone muscle. In cystoscopy, the intraureteric ridge appears as a pale band and acts as a guide to the ureteric orifices. The mucosal fold running from the uvula vesicae to the ureteric orifice office is called the Bell's Bar This fold forms the lateral borders of the trigone and contains a band of muscle fibers called the Bell's Muscle. Ref: Gray's Anatomy 41st edition Pgno: 87